True of autosomal dominant polycystic kidney disease I and II respectiely -The most likely site of ectopic opening would be -
1. Chromosomes 16 and 5
2. 16 and 4
3. 11 and 5
4. 11 and 4

Correct answer: 2. 16 and 4

Explanation: Three forms of ADPKD have been identified.

ADPKD-1

accounts for 85% of cases
its gene is found on chromosome 16p

ADPKD-2

its gene has been mapped to chromosome 4q
it appears to have a later age of onset of symptoms and renal failure than ADPKD-1

ADPKD-3

it has not been mapped to a gene uptill now.